Which of the following statements is not true about vibrio cholera?
1. It is non halophilic
2. Grows on simple media
3. Man is the only natural host
4. Cannot survive in extracellular environment

Correct answer: 4. Cannot survive in extracellular environment

Explanation: Vibrio cholerae can survive in extracellular environment. The natural habitat of vibrio cholerae is salt water in coastal areas, where they live for a long periods around planktons. Ingestion of water contaminated by human feces is the most common mode of contracting cholera. Ref: Textbook of Microbiology, Ananthanarayan and Paniker, 7th Edition, Page 316; Park 19th Edition, Page 3,190; Harrisons Principles of Internal Medicine, 16th Edition, Page 909 & 910.